Indications of transplant of liver in paracetamol poison are all, except:
1. PT/INR increased
2. Increased SGPT
3. Creatinine Increased
4. Encephalopathy

Correct answer: 2. Increased SGPT

Explanation: Ans. (b) Increased SGPTRef: Blumgart 6th edition, Page 1775* King's college criteria is used to indicate the prognosis of the patients with acute fulminant liver failure.* It can be due to non-acetaminophen induced or acetaminophen induced.Acetaminophen induced ALF:* Arterial pH < 7.3* INR > 6.5* Serum creatinine > 300micromol/L * Encephalopathy Grade 3 or 4Non-acetaminophen Induced ALF:* INR >6.5* Age <11 or> 40 years* Serum bilirubin Increased >300Micromol/L* Time of onset of jaundice to coma > 7 days* Drug toxicity